Acute vascular ischemia mainfests as
1. Pulselessness
2. Syncope
3. Flushing
4. Oedema

Correct answer: 1. Pulselessness

Explanation: Peripheral artery occlusion Clinical features of peripheral arterial occlusion are classically remembered by 5 P's : pain, pallor, pulselessness, paralysis and paraesthesia Some add 6th P: Poililothermia or perishing cold Most common presenting symptom of acute arterial occlusion : Pain Ref: Sabiston 20th edition Pgno :1756